All of the following is used as accelerator in zinc oxide eugenol cement except:
1. Acetic acid
2. Zinc acetate dehydrate
3. Calcium chloride
4. Bromoglycerine

Correct answer: 4. Bromoglycerine